All belong to molecular motor family except ?
1. Kinesin
2. Dynein
3. Myosin
4. Actin

Correct answer: 4. Actin

Explanation: Ans. is 'd' i.e., Actin Molecular motors Molecular motors are protein with ATPase or GTPase activity that move organelles, proteins, and other components of cell to all parts of the cells. These proteins produce force movement in wide variety of cellular processes including vesicular transport, cell division, nuclear migration, muscle contraction, mechanochemical transduction and others. Molecular motors use energy to generate this force (molecular motors are ATPase/ GTPase). Important cytoskeletal molecular motors are :? i) Kinesin (an ATPase) :- Involved in axoplasmic transport and uses hydrolysis of ATP to move vesicles down the axon toward the positive (+) end of microtubule formation. ii) Dynein (an ATPase) :- It also uses ATP. there are two types of dynein : ? a) Cytosolic dynein :- Involved in axoplasmic flow to move vesicle in opposite direction, i.e., towards the negative end of microtubules. b) Axonemal dynein :- Power ciliary and flagellar movement. iii) Dynamin (a GTPase) :- Uses GTP and is involved in endocytosis. iv) Myosin (an ATPase) Uses ATP and is involved in muscle contraction by binding with actin.